Minimum level of HCG detected by radio immunoassay is :
1. 1.5-3.5 IU/m1
2. 0.5-1 IU/m1
3. 0.02-0.05 1U/m1
4. 0.001 IU/m1

Correct answer: 4. 0.001 IU/m1

Explanation: Ans. is d i.e. 0.001 1U/m1 Pregnancy tests All the pregnancy tests used now days are immunological, which function on the principle of detecting HCG quantitatively or qualitatively, either in the urine or blood :